Causes of painful arc syndrome is/ are -
1. Supraspinatus tendinitis
2. Subacromial bursitis
3. Fracture of greater tuberosity
4. All the above

Correct answer: 4. All the above

Explanation: Painful arc syndrome is characterised by pain in the shoulder and upper arm during the mid range of gleno-humeral abduction. Causes are *supraspinatus tendinitis *subacromial bursitis *fracture of greater tuberosity *calcification of supraspinatus tendon *minor tears of the supraspinatus tendon In all these conditions the space between the upper end of the humerus and the acromion gets compromised, so that during mid abduction the tendon of rotator cuff gets nipped between the greater tuberosity and acromion. Reference-Essential orthopaedics- Maheshwari -5th edn-pg no 304